Which cranial nerve nucleus underlies the facial colliculus?
1. Sixth
2. Seventh
3. Eighth
4. Fifth

Correct answer: 1. Sixth